'Nocturnal enuresis' refers to involuntary urination at night beyond the age of?
1. 2 years
2. 3 years
3. 4 years
4. 5 years

Correct answer: 4. 5 years

Explanation: 'Nocturnal enuresis' refers to involuntary urination at night beyond the age of 5 years Normal milestones: 18 months: Dry during daytime 3 years: Dry at night